Largest turbinate in nose is ?
1. Superior
2. Middle
3. Inferior
4. All are same

Correct answer: 3. Inferior

Explanation: Ans. is 'c' i.e., Inferior The nasal conchae or turbinates are curved bony projections directed downwards and medially. The inferior concha is the largest and is an independent bone. The middle concha is also a projection from the medial surface of ethmoiod. The superior concha is the smallest and also arises from the medial surface of the ethmoid. The meatuses of the nose are passages beneath the overhanging conchae.